Colonic pseudo-obstruction occurs in all, except:
1. Diabetes mellitus
2. Dermatomyositis
3. Scleroderma
4. Hyperthyroidism

Correct answer: 4. Hyperthyroidism

Explanation: Ans. (d) HyperthyroidismCauses of secondary pseudo-obstruction of colon: (Secondary pseudo-obstruction of colon is most common)* Neurological medications* Opiates* Myxedema (Hypothyroidism)* Hyper parathyroidism* Uremia* SLE* Scleroderma* Diabetes mellitus* Retroperitoneal hematoma* Parkinson's disease* Metabolic diseases.